Neisseria Meningitidis bacteria harbour normally:
1. Skin
2. Genitals
3. Nasopharynx
4. Lower GIT

Correct answer: 3. Nasopharynx

Explanation: Ans. (c) NasopharynxRef: Microbiology by Ananthanarayan and Paniker 8th ed. /224-25; K. Park 20th ed. /150,151* N. Meningococci are capsulated Gram negative diplococci* Reservoir for N. Meningitides- human nasopharynx is only reservoir of meningococcus. (N.meningitidis)* Most important source- carriers are the most imp source, not clinical cases.* They are arranged in pairs with adjacent sides flattened --7 half moon shaped.* Transport medium --7 stuart's medium.* Blood agar, chocolate agar and Muller - Hinton agar are the media commonly used for culturing meningococci.* Age group- 3 month-5 years* Serotype- total 13,out of which serotype A,B,C are most important# Serotype A- Epidemics# Serotype B- Both epidemic and local out breaks# Serotype C- Local out breaks* Chemoprophylaxis has been suggested for close contacts.* RIFAMPICIN is DOC for prophylaxis.